Wandering acetabulum is seen in -
1. Fracture acetabulum
2. Dislocation of femur
3. CDH
4. Tubeculosis of hip

Correct answer: 4. Tubeculosis of hip

Explanation: Wandering acetabulum is seen in tuberculosis of hip when destroyed head dislocates from the acetabulum.